Most common type of breast carcinoma:
1. Lobular
2. Ductal
3. Medullary
4. Colloid

Correct answer: 2. Ductal

Explanation: Ans: b (Ductal) Ref: Bailey, 24th ed, p. 836# Ductal carcinoma is the most common variant.# Subtypes of lobular carcinoma are classical type and pleomorphic type, of which classical type carries a better prognosis.Classification of breast carcinoma with percentage incidence is given in 2007 surgery paper. Please go through it.